Nasal mucosa is supplied by
1. Only external carotid artery
2. Only internal carotid artery
3. Mainly internal carotid artery
4. Mainly external carotid artery

Correct answer: 4. Mainly external carotid artery

Explanation: Branch of external carotid artery supplying nasal mucosa are Sphenopalatine artery, Greater palatine artery, Superior labial artery (Branch of facial artery), while, the only branch of Branch of internal Carotid artery supplying nose is Anterior ethmoidal artery.